Causes of erythroderma – a) Pityriasis albab) Pityriasis versicolorc) Psoriasisd) Lichen planuse) Eczema
1. ab
2. cde
3. acd
4. bd

Correct answer: 2. cde